Which of the following nerves are affected after spinal anesthetic block
1. Motor and sensory only
2. Sensory and autonomic nerve only
3. Sensory nerves only
4. Sensory autonomic and motor nerves

Correct answer: 4. Sensory autonomic and motor nerves

Explanation: Spinal anesthetic block affect sensory autonomic and motor nerve